Necrobiosis lipoidica is seen in -
1. DI
2. Lyme disease
3. Diabetes mellitus
4. Symmonds disease

Correct answer: 3. Diabetes mellitus

Explanation: Ans is option 3- DM Necrobiosis lipoidica is a rare granulomatous skin disorder classically described in patients with diabetes. Also called Oppenheim-Urbach disease. Mostly involves the skin of the anterior aspect of the legs. Correlated to the severity of the diabetic microangiopathy.